Which of the following legisation is regarding insanity ?
1. McNaughten Rule
2. Current Rule
3. Durhams Rule
4. All of the above

Correct answer: 4. All of the above

Explanation: D i.e. All